All of the following drugs are useful in nephrogenic diabetes insipidus; except
1. Amiloride
2. Indomethacin
3. Chlorpropamide
4. Thiazide diuretics

Correct answer: 3. Chlorpropamide